Pleura extends to which rib in mid axillary line?
1. 8
2. 9
3. 10
4. 11

Correct answer: 3. 10

Explanation: The inferior border of the pleura extends laterally from the xiphisternal joint, crosses rib 8 in the midclavicular line and rib 10 in the midaxillary line, and then proceeds toward the spine of the 12th thoracic vertebra. Pleura-Mesothelial lining of each hemithorax. Derived from embryonic coelomic lining. The lower border of the pleura on both sides follows a curved line, which crosses the 8th rib in the midclavicular line and the 10th rib in the midaxillary line.